Length of CBD
1. 2.5 -5 cm
2. 5-7 cm
3. 7-11 cm
4. 10-15 cm

Correct answer: 3. 7-11 cm